Which of the following is primary cell line ?
1. Chick embryo fibroblast
2. Hela cells
3. Vero cells
4. WI-38

Correct answer: 1. Chick embryo fibroblast

Explanation: Ans. is 'a' i.e., Chick embryo fibroblast Chick embryo fibroblast is primary cell culture.